Blood transfusion is which type of hypersensitivity reaction -
1. I
2. II
3. III
4. IV

Correct answer: 2. II

Explanation: Ans. is 'b' he., IIo Schick test is an example of type III hypersensitivity or immune-complex reaction.HYPERSENSITIVITYTvpe I (IgE mediated)o Eczemao Hay fevero Asthmao Atopyo Urticariao Anaphylactic shocko Acute dermatitiso Theobald smith phenomenono Prausnitz Kusnter (PK) reactiono Casonis testo Schultz-Dale phenomenonType II (IgG IgM andcomplement mediated)o Blood transfusion reactionso Erythroblastosis fetaliso Autoimmune hemolytic anemia or thrombocytopenia or agmulocytosiso Pemphigus vulgariso Good pasture syndromeo Bullous pemphigoido Pernicious anemiao Acute rheumatic fevero Diabetes mellituso Graves diseaseo Myasthenia gravis HYPERSENSITIVITYTvpe III (IgG IgM complementand leucocyte mediated)o Local-Arthus reactiono Systemic-serum sicknesso Schick testo Polyarteritis nodosa (PAN)o Rheumatoid arthritiso SLEo Acute viral hepatitiso Penicillamine toxicityo Hyperacute graft rejectiono Type 2 lepra reaction (ENL)o Hypersensitivity pneumonitiso R.A.o Infective endocarditiso Henoch schonlein purpurao GlomerulonephritisType IV (Cell mediated)o Tuberculin testo Lepromin testo Sarcoidosiso Tuberculosiso Contact dermatitiso Granulomatous inflammationo Type I lepra reactiono Patch testo Temporal arteritiso Jones mote reaction (cutaneous basophilic HSN)o Graft rejectiono Fairleys testo Frie's test